A man was brought to the emergency after meeting with an accident and injured his perineum He gets our urge to micturate but its yuable to pass urine Ole blood was Sti at the tip of urethra and swelling of penis and scrotum
1. Penile urethra rupture
2. Bulbar urethra
3. Membraneous urethra
4. Urinary bladder injury

Correct answer: 2. Bulbar urethra

Explanation: REF : BD CHAURASIA